Abbe-Estlander Flap is based on:
1. Facial artery
2. Labial artery
3. Maxillary artery
4. Ascending pharyngeal artery

Correct answer: 2. Labial artery

Explanation: Abbe-Estlander / Lip switch flap is used in post-operative lip reconstruction in cases of carcinoma lip which is based on labial artery.